Elective caesarion section in HIV infected pregnant woman is done in ?
1. All cases
2. All primipara
3. If viral load > 1000 /ml
4. Only in premature rupture of membrane

Correct answer: 3. If viral load > 1000 /ml

Explanation: Ans. is 'c' i.e., If viral load > 1000 /mlA scheduled cesarean delivery (sometimes called a C-section) can reduce the risk of mother-to-child transmission of HIV in women who have a high viral load (more than 1,000 copies/mL) or an unknown viral load near the time of delivery. A cesarean delivery to reduce the risk of mother-to-child transmission of HIV is scheduled for the 38th week of pregnancy, 2 weeks before a woman's expected due date.